First line drug for prophylaxis of pneumocystosis is
1. TMP-SMX
2. Dapsone
3. Pyrimethamine
4. Atovaquone

Correct answer: 1. TMP-SMX

Explanation: First line drug for prophylaxis of pneumocystosis is TMP-SMX (trimethoprim-sulfamethoxazole).Dapsone, Pyrimethamine, Atovaquone, Leucovorin, Pentamidine are second line drugs